Which of the following skull fractures is called a 'Motorcyclist's fracture'
1. Ring fracture of base of skull
2. Hinge fracture of base of skull
3. Comminuted fracture of skull
4. Depressed fracture of skull

Correct answer: 2. Hinge fracture of base of skull

Explanation: B i.e. Hinge fracture of base of skull Guide to forensic medicine & toxicology: Jain (2004) p 98] Hinge fracture of base of skull, in which the base of skull is divided into two halvesQ, each moving independently of each other like a hinge, is termed as motor cyclest's facture.